PNH is associated with deficiency of:
1. DAF (Decay accelerating factor)
2. MIRL (Membrane inhibitor of reactive lysis)
3. GPI Anchored Proteins (Glycosyl phosphatidyl Inositol anchored proteins)
4. LFA (Lymphocyte function associated antigen)

Correct answer: 3. GPI Anchored Proteins (Glycosyl phosphatidyl Inositol anchored proteins)

Explanation: Out of all the options given GPI Anchored Proteins is the best answer because DAF, MIRL and LFA are among the various GPI proteins found to be deficient in PNH. Ref: Wintrobe's Clinical Hematology By John P. Greer, Maxwell Myer Wintrobe, Page 1007.